Air bronchogram in Chest- Xray is found in all except
1. Pleural effusion
2. Consolidation
3. Pulmonary oedema
4. Alveolar cell carcinoma

Correct answer: 1. Pleural effusion

Explanation: Causes of Air Bronchograma. Pulmonary oedemab. Pneumonic consolidationc. Hyaline membrane diseased. Lymphomae. Alveolar cell carcinomaf. Sarcoidosisg. ARDSh. Alveolar proteinosis